In Crutch palsy is injury to which nerve is usually seen
1. Radial nerve
2. Ulnar nerve
3. Median nerve
4. Musculocutaneous nerve..

Correct answer: 1. Radial nerve

Explanation: Saturday night palsy or weekend palsy and crutch palsy are high radial nerve palsies Refer Apleys 9th/e p 282